A 6-month-old infant had itchy erythematous papules and exudative lesions on the scalp, face, groins and axillae for one month. She also had vesicular lesions on the palms. The most likely diagnosis is –
1. Congenital syphilis
2. Seborrhoeic dermatitis
3. Scabies
4. Psoriasis

Correct answer: 3. Scabies

Explanation: Information in this question are :-




6 months old infant
Erythematous papules → papulovesicular lesions
Vesicular lesions         → papulovesicular lesions
Involvement of scalp, face, groins, axillae and Palms.


Two most important diseases causing papulovesicular lesions in Infant are :-


Atopic dermatitis
Scabies